All of the following drugs are used in the medical termination of early pregnancy, EXCEPT:
1. Methotrexate
2. Mifepristone
3. Misoprostol
4. Medroxyprogesterone

Correct answer: 4. Medroxyprogesterone

Explanation: Medroxyprogesterone is not indicated in the termination of pregnancy. The three medications used in the medical termination of pregnancy are methotrexate, misoprostol and mifepristone. Mifepristone and methotrexate acts by increasing uterine contractility by reversing the progesterone induced inhibition of contractions and misoprostol acts by stimulating the myometrium. Medroxyprogesterone is used in the treatment of abnormal uterine bleeding, amenorrhea, contraception, endometriosis, endometrial hyperplasia and endometrial carcinoma. Medroxyprogesterone acts by suppressing ovulation, causing endometrial thinning, and forming thick cervical mucus. Ref: Cunningham F.G., Leveno K.J., Bloom S.L., Hauth J.C., Rouse D.J., Spong C.Y. (2010). Chapter 9. Abortion. Lippincott's Drugs to Know for the NCLEX-RN page 350.